A new born presents with mid anterior abdominal wall defect with characteristic spontaneous disappearance at age of 4 years -
1. Patent urachus
2. Omphalocele
3. Ectopia vesicae
4. Umibilical hernia

Correct answer: 4. Umibilical hernia